According to 357 (c) CrPC, all hospitals (Govt or private) shell provide the first aid medical care free of cost to victims of offences covered by the following section except:
1. 326 A IPC
2. 376 IPC
3. 302 IPC
4. 376 A IPC

Correct answer: 3. 302 IPC

Explanation: C. 302 Treatment of victims : * All hospitals, public or private, whether run by the Central Government, the State Government, local bodies or any other person, shall immediately, provide the first-aid or medical treatment, free of cost, to the victims of any offence covered under section 326A, 376, 376A, 376B, 376C, 376D or section 376E of the Indian Penal Code, and shall immediately inform the police of such incident.